Which of the following Gracey curette is used for both anterior teeth and premolars
1. 1-2; 3-4
2. 6-May
3. 7-8; 9-10
4. 12-Nov

Correct answer: 2. 6-May